A 9 months old child is brought to you in the emergency with complaints of cough and coryza since last 2 days. Since last 1 day child is having noisy breathing which increases on crying. On examination you find a stridor which the mother was explaining as noisy breathing. What is your diagnosis?
1. Croup
2. Bronchiolitis
3. Asthma
4. Laryngomalacia

Correct answer: 1. Croup

Explanation: Ans. A. CroupCroup is the most common etiology for hoarseness, cough, and onset of acute stridor in febrile children. Symptoms of coryza may be absent, mild, or marked. The vast majority of children with croup recover without consequences or sequelae.Croup manifests as hoarseness, a seal-like barking cough, inspiratory stridor, and a variable degree of respiratory distress.However, morbidity is secondary to narrowing of the larynx and trachea below the level of the glottis (subglottic region), causing the characteristic audible inspiratory stridor. Parainfluenza viruses (types 1, 2, 3) are responsible for about 80% of croup cases. Urgent care or emergency department treatment of croup depends on the patient's degree of respiratory distress. Most children with mild croup symptoms can be successfully treated at home by their caregivers. In severe cases are treated by Dexamethasone and inhaled epinephrine.